The ratio of anaerobe to aerobes in stool is -
1. 10:01
2. 100:01:00
3. 1000:01:00
4. 10000 : 1

Correct answer: 3. 1000:01:00